The finding of a single umbilical artery on ultrasound is
1. An Indicator of considerably increased incidence of major malformations in the fetus
2. Occurs in 10% of newborns
3. Insignificant
4. Equally common in newborn of diabetic and nondiabetic mothers

Correct answer: 1. An Indicator of considerably increased incidence of major malformations in the fetus

Explanation: The presence of a single umbilical artery may be associated with congenital malformations.